Mechanism of action of tacrolimus -
1. Folate antagonist
2. Calcineurin inhibitor
3. Antimetabolite
4. CD 20 antibody

Correct answer: 2. Calcineurin inhibitor

Explanation: Ans. is 'b' i.e., Calcineurin inhibitor